Red degeneration of uterine fibroid is mc in
1. First trimester
2. Second trimester
3. Third trimester
4. Peurperium

Correct answer: 2. Second trimester

Explanation: Red degeneration
This complication of uterine myomas develops most frequently during pregnancy, although it is not rare in cases of painful myomas in women over the age of 40. The myoma becomes tense and tender and causes severe abdominal pain with constitutional upset and fever. The tumour itself assumes a peculiar purple red colour and develops a fishy odour. If the tumour is carefully examined, some of the large veins in the capsule and the small vessels in the substance of the tumour will be found thrombosed